Which of the following is not nephrotoxic?
1. Tobramycin
2. Kanamycin
3. Ampicillin
4. Amphotericin B

Correct answer: 3. Ampicillin

Explanation: Ans. (C) Ampicillin(Ref: KDT 8/e p772)Aminoglycosides (tobramycin, gentamicin, kanamycin), vancomycin and amphotericin B are highly nephrotoxic agents.